On putting an internal jugular vein catheter, a patient has developed sudden onset severe respiratory distress. Clinical diagnosis is?
1. Pneumothorax
2. Sepsis
3. ARDS
4. Infective endarteritis

Correct answer: 1. Pneumothorax

Explanation: The catheter penetrated the jugular vein and traumatized the lung parenchyma damaging the lung tissues leading to PNEUMOTHORAX OPTION B - Takes time to form septicemia OPTION C: MCC of ARDS is Sepsis so, not related to question OPTION D: In Infective Endarteritis fever develops and not respiratory distress